All the following spread by auto infection except:
1. Taenia solium
2. Strongyloides stercoralis
3. Hymenolepis nana
4. Ascaris lumbricoides

Correct answer: 4. Ascaris lumbricoides

Explanation: Parasites causing autoinfection are(C2HEST)C- Capillaria philippinensisCryptosporidium parvumH- Hymenolepis nanaE- Enterobius vermicularisS- Strongyloides stercoralisT- Taenia solium(Pork tapeworm) Taenia solium have proglottids responsible for causing autoinfection.